SSPE is seen in?
1. Rubella
2. Mumps,
3. Measles
4. Chicken pox

Correct answer: 3. Measles

Explanation: Ans. (c) MeaslesRef : Harrison 18th edition,chapter 192